Propranolol can be used in all of the following conditions EXCEPT:
1. Thyrotoxicosis
2. Variant angina
3. Migraine
4. Hypertension

Correct answer: 2. Variant angina